Like other sensory systems, the somatosensory system has a descending component that functions to regulate the overall sensitivity of the system. Which of the following selections best describes the function of the corticofugal signals transmitted from the somatosensory cortex downward to the thalamus and dorsal column nuclei?
1. Increase or decrease the perception of signal intensity
2. Decrease the ability to detect body position sense
3. Remove the thalamus from the processing of somatosensory signals
4. Allow ascending information to bypass the nucleus cuneatus and gracilis

Correct answer: 1. Increase or decrease the perception of signal intensity

Explanation: Descending cortical modulation of somatosensation involves in increase or decrease in the perception of signal intensity.